Which of the following inhibitor in TCA cycle acts by blocking citrate
1. Fluroacetate
2. Arsenite
3. Malonate
4. None of the above

Correct answer: 1. Fluroacetate

Explanation: Fluoroacetate inhibits aconitase and thereby blocks citrate to be converted into Cis-aconitate.